Mass movements of the colon would be abolished by
1. Extrinsic denervation
2. Distension of colon
3. Gastrocolic reflex
4. Destruction of Auerbach's plexus

Correct answer: 4. Destruction of Auerbach's plexus

Explanation: Auerbach's plexus which is located between the inner circular and outer longitudinal muscle layer is the one which controls local GI motility Ref: Ganong 25th ed/page 497